Involution of the uterus is completed by :
1. 6 weeks
2. 8 weeks
3. 12 weeks
4. 16 weeks

Correct answer: 1. 6 weeks

Explanation: 6 weeks